A person returns to Delhi from Bangladesh after 2 days and has diarrhoes. Stool examination shows RBC's in stool. The likely organism causing is ?
1. Enteropathogenic E. Coli
2. Enterotoxigenic E. Coli
3. Salmonella typhi
4. Shigella dysenteriae

Correct answer: 4. Shigella dysenteriae

Explanation: Ans. is 'd' i.e., Shigella dysenteriae . This is a case of traveller's diarrhea. . RBCs in stool are suggestive of dysentry. Lets see each option sequentially: . Enteropathogenic E. coli is not a cause of traveller's diarrhea . Enterotoxigenic E. coli is the most common cause of traveller's diarrhea but it causes watery diarrhea, not dysentry. . Salmonella other than S. typhi causes gastroenteritis. . Shigella is a cause of traveller's diarrhea and it causes dysentry.